The characteristic triad of Klippel -Fell syndrome includes all of the following, Except -
1. Short neck
2. Low hair line
3. Limited neck movements
4. Elevated scapula

Correct answer: 4. Elevated scapula

Explanation: Elevated Scapula (Sprengel deformity) may be associated with Klippel-Feil syndrome, but does not form part of the characteristic triad.
The characteristic triad of Klippel-feil syndrome includes a short neck, low hairline and restriction of neck motion.